Hypertrophic pyloric stenosis is best diagnosed by -
1. USG
2. CT SCAN
3. X-ray abdo supine
4. MRI

Correct answer: 1. USG

Explanation: Ans. is 'a' i.e., USG Hypertophic pyloric stenosiso Most common cause of nonbilious vomiting is Hypertrophic pyloric stenosis,o Male > female.o Vomiting starts with 3 week of age.o Palpable mass is seen in epigastric region,o Visible peristalsis is seen soon after feeding,o Confirmed by USG abdomen,o Contrast study show's :Shoulder signDouble tract sign.o Treatment surgery = Ramstedt procedure.